Which of the following have the maximum density of white muscle fibres
1. Calf muscle
2. Extra ocular muscles
3. Back
4. Hip

Correct answer: 2. Extra ocular muscles

Explanation: Extra-ocular muscles are composed of white fibres (type II B), which contract quickly with peak tension attained within 7.5 msec of stimulation. Type I or 1 Type II A or 2A Type II B or 2X Other names Slow, Oxidative (SO) Fast, Oxidative, glycolytic (FOG) Fast Glycolytic (FG) Function Sustained forces, such as postural muscles Powerful fast movements Powerful fast movements Main source of ATP Oxidative phosporylation Oxidative phosphorylation Glycolysis Size of motor unit Small Large Large Mitochondria Many Intermediate Few Capillaries Many Many Few Myoglobin content High High Low Colour Red Red White Myosin ATPase activity Low High High Glycolytic capacity Low intermediate High Oxidative capacity High Intermediate Low Resistance to fatigue Fatigue resistant Fatigue resistant Fatigue susceptible Ref: Guyton and Hall Textbook Of Medical Physiology 13th edition \ Pgno: 84